Which is not a side effect of POP
1. Ovarian cysts
2. Venous thromboembolism
3. Increased risk of diabetes mellitus
4. Ectopic pregnancy

Correct answer: 2. Venous thromboembolism

Explanation: Adverse effects of progestin only pill (minipill) Menstural irregularities Headache, nausea, dizziners Bloating or weight gain Increased risk of INDDM Ovarian cysts Breast tenderness Acne Ectopic pregnancy Ref : Shaw book of gynecology 8th Ed